Which of the following is the only reversible cataract-
1. Senile Cataract
2. Cataract inGalactosemia
3. Congenital Cataract
4. None

Correct answer: 2. Cataract inGalactosemia

Explanation: Ans. is 'b' i.e., Cataract in Galactasemia "'Cataract associated with galactosemia is the only reversible cataract"... Atlas of ophthalmologyCauses of CataractSystemic diseasesDermatological diseasesAge related & Physical agentsToxic agentsOtherso Hypoparathyroi-dismo Ichthyosiso Senile cataracto Corticosteroidso Maternal infections* CMV* Toxoplasmosis* Rubellao Atopic dermatitiso Sunlight & UV rayso Chlorpromazineo Hypocalcemiao Wemer syndromeo Traumao Busulfano Diabetes (Hypergly-cemia)o Rothmud's syndromeo Ionizing radiation* X-ray, y-rays* Neutronso Anticholinesteraseo ChJoroquineo Obesityo Hypoglycemiao Amiodaroneo Severe diarrheao Dystrophia myoto-niao Nonionizing radiation* Infrared* Microwaveo Cigratte smokingo Coppero Galactosaemiao Irono Alport syndromeo Electric shock (electrico Goldo Lowe syndromecataract)o Diureticso Stickler syndromeo Vitamin A, C & E deficiencyo Down syndromeo Heat (Infrared cataract)o Wilson's diseaseo Hypothyroidismo Galactokinase deficiencyo Neurofibromatosis type 11o Hypertension